Corkscrew oesophagus is seen in :
1. Achalasia cardia
2. Diffuse esophageal spasm
3. Carcinoma esophagus
4. Reflux oesophagitis

Correct answer: 2. Diffuse esophageal spasm

Explanation: DES is characterized by substernal chest pain and/or dysphagia. DES differs from classic achalasia in that it is primarily a disease of the esophageal body, produces a lesser degree of dysphagia, causes more chest pain, and has less effect on the patient's general condition. Nonetheless, it is impossible to differentiate achalasia from DES on the basis of symptoms alone. Esophagogram and esophageal manometry are required to distinguish these two entities. In patients with advanced disease, the radiographic appearance of tertiary contractions appears helical, and has been termed corkscrew esophagus or pseudodiverticulosis. Ref :Jobe B.A., Peters J.H. (2010). Chapter 25. Esophagus and Diaphragmatic Hernia. In T.R. Billiar, D.L. Dunn (Eds), Schwartz's Principles of Surgery, 9e.